Estimation of free chlorine of water is done by:
1. Orthotolidine test
2. Horrock's apparatus
3. Paterson's chloronome
4. Kata thermometer

Correct answer: 1. Orthotolidine test

Explanation: Ans: A i.e. Orthotolidine test Test/instruments and their use Orthotolidine test enables both free and combined chlorine in water to be determined with speed and accuracy Horrock's water testing apparatus is designed to find out the dose of bleaching powder required for disinfection of water Paterson's chloronome is one such device for measuring, regulating and administering gaseous chlorine to water supplies Kata thermometer was originally devised for measuring the "cooling power" of the air. The Kata thermometer is now largely used as an anemometer for recording low air velocities rather than the cooling power of the air